A report of "lead-pipe" appearance of the colon barium enema would be diagnostic of
1. Amebiasis
2. Ulcerative colitis
3. Tuberculosis of the syndrome
4. A granulomatous polysosis

Correct answer: 2. Ulcerative colitis

Explanation: .Ulcerative colitis on barium enema shows Loss of haustrations,resulting in lead pipe appearance. ref:SRB's manual of surgery ,ed 3,pg no 849